The majority of the waste produced by health-care proViders is-
1. Chemical waste
2. Infectious waste
3. General waste
4. Sharps waste

Correct answer: 3. General waste

Explanation: Ans. is 'c' i.e., General waste